What is sade's grade when tympanic membrane is retracted touching promontory
1. 1
2. 2
3. 3
4. 4

Correct answer: 3. 3

Explanation: Retraction of Pars Tensa (Sade's classification) Grade 1: Mild retraction not touching the long process of the incus. Grade 2: Retracted drum touching the long process of the incus. Grade 3: Retracted drum touching the promontory. It is also called as middle ear atelectasis. Grade 4: Drum plastered on the promontory. It is also called as adhesive otitis media. (Ref: Textbook of diseases of ENT, PL Dhingra, 7th edition, pg no. 79)